The formation of which of the following does not represent normal physiological process of dentin formation:
1. Primary and secondary dentin
2. Secondary dentin and circumpulpal dentin
3. Tertiary dentin and sclerotic dentin
4. All of the above

Correct answer: 3. Tertiary dentin and sclerotic dentin